Sensory nerve supply of pinna is:
1. Mandibular nerve
2. Maxillary nerve
3. Facial nerve
4. Abducent nerve

Correct answer: 1. Mandibular nerve

Explanation: Auriculotemporal nerve, a branch of mandibular nerve (V3) supplies the external acoustic meatus, external surface of auricle above this, skin of temporal region and TM joint.